The karyotype of patient with androgen insensitivity syndrome is :
1. 46XX
2. 46XY
3. 47XXY
4. 45XO

Correct answer: 2. 46XY

Explanation: Answer is B (46XY) : Individual with 'androgen insensitivity syndrome' are XY individuals (male karyotype) with a female phenotype. Mutation in the androgen receptor causes resistance to androgen action and the androgen insensitivity syndrome results.